The peripheral blood smear of a patient shows features of thalasemia, also presented with anaemia. Family history is also +ve. The investigation done to establish the diagnosis is :
1. ESR estimation
2. Blood spherocyte estimation
3. Bone marrow aspiration
4. Hb-electrophoresis

Correct answer: 4. Hb-electrophoresis

Explanation: Ans. is 'd' i.e. Hb- electrophoresisElectrophoretic techniques are used for routine hemoglobin analysis. It helps in quantification and identification of various hemoglobins.As we all are aware that thalassemia is a quantitative defect in Hb characterized by lack of certain types of hemoglobin and compensatory increase in other hemoglobin, therefore electrophoresis proves to be a reliable method for screening in thalassemia.